Least chances of infective endocarditis is associated with:
1. Mild MS
2. Mild MR
3. Small ASD
4. Small VSD

Correct answer: 3. Small ASD

Explanation: Infective endocarditis is very rare in patients of ostium secondum atrial septal defect, unless floopy mitral valve is present .(ref Ghai 7th/390,403)